Organism invading intact corneal membrane is
1. Staphylococcus
2. Streptococcus
3. Gonococcus
4. Pneumococcus

Correct answer: 3. Gonococcus

Explanation: Intact corneal epithelium cannot be penetrated by any organism EXCEPT, Neisseria gonorrhea Neisseria meningitides Corynebacterium diphtheriea